Whooping cough is caused by
1. C. Diphtheria
2. B. Pertussis
3. M. Catarhalis
4. S. Pneumonea

Correct answer: 2. B. Pertussis

Explanation: Whooping cough is caused by Bordetella pertussis. It is an obligate human parasite. Incubation period: 1-2 weeks, 3 stages: catarrhal, paroxysmal and convalescence stage. During the paroxysm, patient experience violent spasm of continuous coughing, followed by a long inrush of air into the almost empty lungs with a characteristic whoop. Reference: Textbook of Microbiology; Anathanarayan and paniker's; 10th edition; Page no: 341